Attenuated retinal vessels with bony corpuscular like lesion seen in –
1. Diabetes mellitus
2. Hypertension
3. Retinitis pigmentosa
4. Eales disease

Correct answer: 3. Retinitis pigmentosa

Explanation: Attenuated & thread like retinal vessels and retinal pigmentary changes (Bone spicule intraneural retinal pigmentation) is seen in retinitis pigmentosa.